All of the following ocular lesions may occur in patients suffering from AIDS except
1. Central toxoplasma chorioretinitis
2. Central serous retinopathy
3. CMV retinitis
4. Candida endophthalmitis

Correct answer: 2. Central serous retinopathy

Explanation: Ans. Central serous retinopathy